Wedging in the interproximal areas in case of recession is called
1. Piggy back
2. Tie back
3. Tie through
4. None of the above

Correct answer: 1. Piggy back